Acoustic neuroma causes:
1. Cochlear deafness
2. Retrocochlear deafness
3. Conductive deafness
4. Any of the above

Correct answer: 2. Retrocochlear deafness

Explanation: SNHL can be: a. Cochlear SNHL b. Retrocochlear SNHL Acoustic neuroma cause retrocochlear type of SNHL as it damages Vint' nerve. Meniere's disease causes cochlear deafness Important features of Retro Cochlear hearing loss /Acoustic Neuroma: Sensorineural hearing loss more marked in high frequencies. - Poor discrimination score (0-30%). - Recruitment phenomenon absent and roll over phenomenon present i.e. discrimination score further decreases when loudness is increased beyond a particular point. - Short increment sensitivity index (SISI) test will show a score of 0-20% in 70-90% cases. - Tone decay significant